Which of the following is not a point mutation-
1. Silent mutation
2. Nonsense mutation
3. Frame shift mutation
4. Mis-sense mutation

Correct answer: 3. Frame shift mutation

Explanation: Ans. is 'c' i.e., Frame shift mutation o Somatic mutations include :-i) Point mutations :- Silent mutation, mis-sense mutation, nonsense mutation.ii) Frame shift mutations :- These are due to deletion or insertion of base pair.iii) Trinucleotide repeat mutation.o Methionine is activated into S-adenosylmethionine, which then transfers its methyl group to an acceptor. Thus methionine acts as methyl donor in transmethylation reactions.o Some of the important transmethylation reactions are-i) Norepinephrine - Epinephrineii) Phosphatidylethanolamine - Phosphatidylcholineiii) Gunaidoacetate - Creatineiv) Ethanolamine - Cholinev) Acetyl serotonin - Serotoninvi) Nucleotides - methylated nucleotides